Goodpasture's disease is characterized by all except-
1. Glomerulonephritis
2. Leukocytoclastic vasculitis
3. Diffuse alveolar hemorrhage
4. Presence of antibodies to BM

Correct answer: 2. Leukocytoclastic vasculitis

Explanation: Leukocytoclastic vasculitis (LCV) is a frequently-misused histopathologic term that describes the microscopic changes seen in various types of vasculitis affecting the skin and internal organs. However, LCV more typically refers to small-vessel vasculitis of the skin Lung hemorrhage and antiglomerular basement membrane (anti-GBM) antibody mediated nephritis define Goodpasture's syndrome. We present the case of a 19-year-old Caucasian woman with unique clinical findings of Goodpasture's syndrome. Our patient initially presented with leukocytoclastic vasculitis of the skin followed by the development of nephritis and lung hemorrhage. An open lung biopsy done prior to diagnosing anti-GBM antibody disease demonstrated an intense eosinophilic vasculitis. Skin vasculitis has only been rarely reported, and to our knowledge this is the first reported case of pulmonary eosinophilic vasculitis associated with Goodpasture's syndrome Ref Harrison20th edition pg 277